Complication of measles are all except -
1. Myocarditis
2. Appendicitis
3. SSPE
4. Pancreatitis

Correct answer: 4. Pancreatitis

Explanation: Ans. is 'd' i.e., Panereatitis